A 88 year-old woman from Mexico is admitted to the hospital following a bout of severe vomiting and generalized weakness. Initial laboratory values reveal elevated Cat levels. The referring physician tells you that she has breast cancer and her bone scan indicates metastasis to bone. The most likely cause of hypercalcemia is:
1. Increased PTH production
2. Increased responsiveness of the PTH receptor 1
3. Increased PTHrP production
4. Decreased responsiveness to calcitonin

Correct answer: 3. Increased PTHrP production

Explanation: Increased PTHrP productions